Pharyngeconjunctival fever is caused by -
1. Adenovirus 3 and 7
2. Adenovirus 11, 21
3. Adenovirus 40, 41
4. Adenovirus 8, 19

Correct answer: 1. Adenovirus 3 and 7

Explanation: Adenovirus causes pharyngitis, pneumonia, ARD, pharyngoconjunctival fever, EKC, acute follicular conjunctivitis, diarrhea, and acute hemorrhagic fever. Pharyngeoconjunctival fever is usually associated with serotypes 3,7 and 14. REF:ANANTHANARAYAN AND PANIKER'S TEXTBOOK OF MICROBIOLOGY 9TH EDITION PAGE NO:482